Which of the following fat-soluble vitamin is anti-oxidant?
1. Vitamin E
2. Vitamin C
3. Vitamin A
4. Vitamin K

Correct answer: 1. Vitamin E

Explanation: Ans. a (Vitamin E)VITAMIN E# As an antioxidant, helps to protect cell membranes lipoproteins, fats and vitamin A from oxidation.# It helps to protect red blood cells and is important for the proper function of nerves and muscles.# Vitamin E protects against cellular aging due to oxidation;# Supply oxygen to the blood which is then carried to the heart, brain and others; thus alleviating fatigue;# Aid in bringing nourishment to cells;# Strengthen the capillary walls and prevents the red blood cells from destructive poisons;# Prevent and dissolve blood clots; has also been used in helping prevent sterility, muscular dystrophy, calcium deposits in blood walls and heart conditions.# Its deficiency results in T fragility of erythrocytes, neurodysfunction.